True about Ig gene rearrangement & Ig diversity:
1. Somatic mutations theory
2. DNA rearrangement
3. Appropriate class switching
4. All

Correct answer: 4. All

Explanation: A, B, C i.e. Somatic mutations theory, DNA rearrangement, Appropriate class switching